Retinoblastoma gene is located on?
1. Chromosome 6
2. Chromosome 9
3. Chromosome 13
4. Chromosome 2l

Correct answer: 3. Chromosome 13

Explanation: Robbins basic pathology 6th edition. Chapter Neoplasia. Pge no. 286. Retinoblastoma gene is located on chromosome no. 13.